Which of the following is an agent used for deep chemical peels?
1. Carbolic acid
2. Glycolic acid
3. Mandelic acid
4. Salicylic acid

Correct answer: 1. Carbolic acid

Explanation: Carbolic acid / phenol is used for deep peels & is a component of Baker - Gordon formula. All others are hydroxy acids used for superficial & medium depth peels. Ref: Textbook of dermatosurgery & cosmetology, Satish S savant, E-2, P-177.